Duroziez sign seen in
1. AR
2. AS
3. MS
4. MR

Correct answer: 1. AR

Explanation: Duroziez's sign : Systolic and diastolic bruits while compressing femoral artery. A similar sign is Traube's sign. Reference : Davidson, 23rd page no : 524.